Which of the following is least narcotic opioid?
1. Morphine
2. Codeine
3. Heroin
4. Papaverine

Correct answer: 4. Papaverine

Explanation: Papaverine is devoid of opiod or analgesic activity. Morphine and codeine are natural opium alkaloids and heroin a semi synthetic derivative. Hence all three have good narcotic action. Ref: KD Tripathi 8th ed.